Ganja is obtained from -
1. Dried leaves
2. Fresh leaves
3. Flowering tops
4. Roots

Correct answer: 3. Flowering tops